Plague is transmitted through:-
1. Tick
2. Mite
3. Flea
4. Mosquito

Correct answer: 3. Flea

Explanation: Plague is transmitted through Rat Flea Rat flea transmits : Bubonic plague, Murine typhus, Chiggerosis. Soft tick transmits: relapsing fever, Q fever, KFD outside India. Hard tick transmits: Tularemia, Tick paralysis, Tick encephalitis, Babesiosis, Tick hemorrhagic fever, KFD in India, congo fever. Mite transmits scrub typhus, scabies. Mosquito transmits: Malaria, Dengue, Yellow fever, Lymphatic filariasis etc.